Major component of DNA
1. Histone
2. Repressor
3. Deoxyribonucleotides
4. Inducer

Correct answer: 3. Deoxyribonucleotides

Explanation: DNA is a polymer of deoxyribonucleotides.